An alcoholic presents with complaints of loss of memory of recent events, impaired insight, confabulation, and dementia of few months duration. The patient is suffering from :
1. Wernicke's encephalopathy
2. Korsakoff's psychosis
3. Delirium tremens
4. Binswanger's disease

Correct answer: 2. Korsakoff's psychosis

Explanation: Loss of memory (amnesia) and confabulation in an alcoholic suggest the diagnosis of Korsakoff's psychosis.